Most common psychiatric disorder in community is
1. Depression
2. Schizophrenia
3. Paranoid disorders
4. Obsessive compulsive neurosis

Correct answer: 1. Depression

Explanation: (A) Depression # DEPRESSION is the most common psychiatric illness in India.> Neurotic depression is far common than psychotic depression.> Neurotic depression is followed by anxiety neurosis is prevalence.> This is in contrast to West, where anxiety neurosis is the commonest.